Which of the following planes can be examined clinically
1. Frankfort horizontal plane
2. Bolton plane
3. SN plane
4. All of the above

Correct answer: 1. Frankfort horizontal plane